As compared to iron deficiency anemia, which of the following is decreased in anemia of chronic disease?
1. Endogenous bone marrow iron stores
2. Serum ferritin
3. Transferrin saturation
4. TIBC

Correct answer: 4. TIBC

Explanation: Answer- D. TIBCMCV/MCH- Decreased or normalSerum iron- DecreasedTIBC- Decreased, normalTransferrin saturation- DecreasedSerum ferritin- Normal or increased